All are vesiculo bullous lesions except –
1. Dermatitis herpetiformis
2. Scabies
3. Pemphigus
4. Pemphigoid

Correct answer: 2. Scabies